Parasites penetrating through skin for entry into the body are -a) Ancylostoma duodenaleb) Strongyloidesc) Round wormd) Trichuris trichura
1. ac
2. a
3. ab
4. bc

Correct answer: 3. ab

Explanation: Parasites enter through penetration of skin:

From Soil-Hookworm, Strongyloides
From Water-Acanthamoeba, Schistosoma spp.